HPV type least commonly associated with carcinoma cervix :
1. 6
2. 35
3. 16
4. 18

Correct answer: 1. 6

Explanation: HPV High oncongenicity: Types 16,18, 31, 33, 35, 45, 56 Low oncogenecity: Types 6,11, 42, 43 Ref: D.C.DUTTA'S TEXTBOOK OF GYNAECOLOGY; 6th edition; Pg no:323